Psychosurgery is indicated in-
1. Schizophrenia
2. Conduct disorder
3. Generalized anxiety disorder
4. OCD

Correct answer: 4. OCD

Explanation: Ans. is 'd'i.e., OCDo Phototherapy is primarily indicated in the treatment of seasonal depressions.o In addition to seasonal depression, the other major indication for phototherapy may be in sleep disorders.BIOLOGICAL THERAPYBiological therapy is a treatment designed to change the biological functioning of the body in order to produce more adaptive behaviour and less suffering. In the treatment of mental disorders, biological therapies are designed to change the functioning of brain.Biological therapies include :-Drugs (Pharmocotherapy) :-Will be discussed in another chapter.Phototherapy :-Seasonal affective disorder, sleep disorders, jet lag, OCD with seasonal variation.Transcranial magnetic stimulation :-OCD, PTSD, Resistant major depression,iv) Yragal stimulation :-Chronic recurrent major depression.Sleep deprivation :-Depression.Psychosurgery :-Cingulotomy and subcaudatetractotomy for OCD.